Earliest site of bone involvement in hematogenous osteomyelitis -
1. Metaphysis
2. Diaphys is
3. Epiphysis
4. Point of entry of the nutrient artery

Correct answer: 1. Metaphysis

Explanation: Metaphysis of long bone is the earliest and most common site involved.